All of the following arteries contributes to Little's area EXCEPT:
1. Anterior Ethmoidal artery
2. Posterior Ethmoidal artery
3. Sphenopalatine artery
4. Greater palatine artery

Correct answer: 2. Posterior Ethmoidal artery

Explanation: Kiesselbach's plexus It lies in Kiesselbach's area/ Kiesselbach's triangle/ Little's area It is a region in the anteroinferior part of the nasal septum where four arteries anastomose to form a vascular plexus of that name. The arteries are: - Anterior Ethmoidal artery (from the Ophthalmic artery) - Sphenopalatine artery (terminal branch of the Maxillary artery) - Greater palatine artery (from the Maxillary artery) Septal branch of the superior labial artery (from the Facial artery) Although the Posterior Ethmoidal artery also supplies the septum of the nose, it does not contribute to the plexus.